Which of the following is not given in ophthalmia neonatorum –
1. Erythromycin locally
2. Tetracycline 1%
3. Penicillin locally
4. Silver nitrate

Correct answer: 4. Silver nitrate

Explanation: Prophylactic use of 1% silver nitrate (Crede's method) is obsolete now.
Erythromycin and tetracycline ointment are frequently used for prophylaxis. Penicillin is used for treatment of sensitive strains of gonococci.